Ice pack test is done for?
1. Myasthenia Gravis
2. Multiple system atrophy
3. Hyperparathyroidism
4. Hypokalemic periodic paralysis

Correct answer: 1. Myasthenia Gravis

Explanation: Ice pack test: In patients suspected of palpebral ptosis and/or ophthalmoparesis due to myasthenia gravis. Investigations for the remaining choices mentioned in the question Disease Features Multiple system atrophy MRI showing hot cross buns sign and putaminal atrophy Hyperparathyroidism PTH assay and Technetium Pertechnetate Scan. Hypokalemic periodic paralysis C.M.A.P compound muscle action potential shows low amplitude and shows no improvement in exercise.